5% guanethidine is used for
1. Ptosis
2. Neuro-paralytic keratitis
3. Thyrotoxic ophthalmopathy
4. Homer's syndrome

Correct answer: 3. Thyrotoxic ophthalmopathy

Explanation: C. i.e. Thyrotoxic opthalmopathy